Treatment of Guillain-Barre Syndrome (GBS) in a child includes:
1. IV Ig
2. Ventilation
3. Plasmapheresis
4. All of above

Correct answer: 4. All of above

Explanation: d. All of above(Ref: Nelson's 20/e p 3010, Ghai 8/e p 590)The drug of choice for Guillain-Barre syndrome in a child is IVIg; Plasmapheresis is also used in refractory casesIn severe case, mechanical ventilation is also required to provide resp support.